Which glycogen storage disease (GSD) does not affect muscles?
1. Type I
2. Type II
3. Type III
4. Type V

Correct answer: 1. Type I

Explanation: Type I GSD (Von Gierke disease) is a liver glycogenoses i.e. involves liver Type 2 (Pompe disease), type V (McArdles disease) and type VII ( Tarui disease) involves muscles (Muscle Glycogenoses) Type 3 GSD (Cori's disease) is predominantly a liver glycogenoses but skeletal muscle involvement may also be seen.